In epidural analgesia morphine acts by acting on -
1. Substantia gelatinosa
2. Axons
3. Ventral horn
4. Sensory nerve

Correct answer: 1. Substantia gelatinosa

Explanation: Ans. is 'a' i.e., Substantia gelatinosa o Analgesic action of morphine has spinal and supraspinal components. It acts in the substantia gelatinosa of dorsal horn to inhibit release of excitatory transmitters from primary afferent carrying pain impulses.